Digoxin toxicity produce all of the changes in ECG except
1. Inverted T waves
2. Prolonged QT interval
3. ST depression
4. Prolonged PR interval

Correct answer: 2. Prolonged QT interval

Explanation: In digoxin toxicity, the finding of frequent premature ventricular beats (PVCs) is the most common and the earliest dysrhythmia. Sinus bradycardia is also very common. In addition, depressed conduction is a predominant feature of digoxin toxicity. Other ECG changes that suggest digoxin toxicity include bigeminal and trigeminal rhythms, ventricular bigeminy, and bidirectional ventricular tachycardia.[ Refer kDT 7/e p514